Which of the following is not a depressor of mandible
1. Hyoglossus
2. Geniohyoid
3. Digastric
4. Mylohyoid

Correct answer: 1. Hyoglossus

Explanation: Depressors of mandible are :-


Muscle of mastication : Lateral pterygoid (major depressor).
Suprahyoid muscles : Digastric, mylohyoid, geniohyoid.


Elevators of mandible are :-


Muscles of mastication : Masseter, temporalis, medial pterygoid.